What is the recommended Aedes aegypti index value to ensure freedom from yellow fever?
1. <0.1 %
2. <1%
3. <0.5%
4. <5%

Correct answer: 2. <1%

Explanation: Aedes aegypti index is used for surveillance of Aedes mosquitoes by WHO. The index should be< 1% in towns and sea ports in endemic areas to ensure freedom from yellow fever. Ref: Park 21st edition, page 259.